Why pyridostigmine is preferred in myasthenia gravis?
1. It doesn't cross BBB
2. Longer acting than neostigmine
3. It crosses BBB
4. Short-acting than neostigmine

Correct answer: 2. Longer acting than neostigmine

Explanation: DOC FOR myasthenia gravis is pyridostigmine as it long acting than neostigmine.both are quaternanry coumpounds and so cant cross BBB Ref: KDT 6th ed pg 101-102